Smoke index is used for -
1. Air pollution
2. Soundpollution
3. Excreta
4. None

Correct answer: 1. Air pollution

Explanation: Ans. is 'a' i.e., Air pollution Monitoring of air pollutiono Monitoring of air pollution is done by : -Sulphur dioxide.Gritt and dust measurement.Co-efficient of haze.Air pollution index.Smoke or soiling index